Most common benign tumours during infancy is:
1. Lymphangioma
2. Hemangioma
3. Cystic hygroma
4. Lipoma

Correct answer: 2. Hemangioma

Explanation: (Hemoangioma) (1726-Nelson 17th) (342-Ghai 7th)* Hemangioma are the most common benign tumours of infancy and occurs in about 10% of term infants.* Lympangioma and cystic hygroma are second most common benign vascular tumours in children.* Hemangiomas are benign vascular lesions that represent the most common benign tumour of infancy